Carbamazepine may be used in all except
1. Mania
2. Alcohol withdrawl
3. Schizophrenia
4. Trigeminal Neuralgia

Correct answer: 3. Schizophrenia

Explanation: C i.e. SchizophreniaCarbamazapine is drug of choice for: Carbamazepine is also used in:Trigeminal neuralgiaQ 1. MPDQ (especially in rapid cyclers)Complex partial seizureQ 2. Alcohol detoxificationQ- But in alcohol withdrawal preferred drugs are chlordiazepoxide > diazepam